All of the following statements are about Non Typhoid Salmonella (NTS) are true, EXCEPT:
1. Humans are the only reservoir
2. Transmission is most commonly associated with eggs, poultry and undercooked meat
3. Common in Immunocompromised individuals
4. Resistance to fluroquinolones has emerged

Correct answer: 1. Humans are the only reservoir

Explanation: Animals constitutes the principle source of human NTS infection, and cases have occurred where individuals have had contact with infected animals, such as cats, dogs, reptiles, pet rodents and amphibians. Thus shows humans are not the only source of infection. Ref: Kliegman, Behrman, Jenson, Stanton (2008), "Nelson Textbook of Pediatrics", Chapter 195, "Salmonella", Volume 1, Page 1183; Harrison's Principles of Internal Medicine, 17th Edition, Page 960